Which of the following conditions require a higher PEEP to be applied in recruiting collapsed alveoli
1. Asthma
2. Acute Respiratory Distress Syndrome
3. Bronchiectasis
4. Emphysema

Correct answer: 2. Acute Respiratory Distress Syndrome

Explanation: ARDS patients require higher PEEP to open up collapsed alveoli.